Trochlear nerve nucleus lies at the level of
1. Inferior cerebellar peduncle
2. Inferior colliculus
3. Superior colliculus
4. Superior cerebellar peduncle

Correct answer: 2. Inferior colliculus

Explanation: Trochlear nerve nucleus is located in anterior part of gray matter that surrounds cerebral aqueduct, at the level of inferior colliculus.